Bone removing cells
1. Osteoblasts
2. Osteoclasts
3. Stem cells
4. Cytotoxic T cells

Correct answer: 2. Osteoclasts

Explanation: An osteoclast is a type of bone cell that breaks down bone tissue. This function is critical in the maintenance, repair, and remodeling of bones of the vertebral skeleton. The osteoclast disassembles and digests the composite of hydrated protein and mineral at a molecular level by secreting acid and a collagenase, a process known as bone resorption. This process also helps regulate the level of blood calcium.Ref: Ganong's review of medical physiology; 24th edition; page no:-386